The most sensitive index for surveillance of malaria transmission is -
1. Spleen rate
2. Parasite density index
3. Infant parasite rate
4. Proportional case rate

Correct answer: 3. Infant parasite rate

Explanation: - infant parasite rate is defined as the percentage of infants below the age of one year showing malaria parasites in their blood films. - It is regarded as the most sensitive index of transmission of malaria in a locality. Reference : Park's textbook of preventive and social medicine, 23rd edition pg no: 261